Spontaneous vertical nystagmus is seen in the lesion of
1. Midbrain
2. Labyrinth
3. Vestibule
4. Cochlea

Correct answer: 1. Midbrain

Explanation: “Vertical nystagmus means vertical displacement of the eye, not side to side nystagmus when attempting upward or down ward gaze. As defined vertical nystagmus always indicates brainstem dysfunction”